Diuretics that can be used in renal failure is -
1. Furosetnide
2. Chlorthiazide
3. Mannitol
4. Chlorthalidone

Correct answer: 1. Furosetnide

Explanation: Ans. is 'a' i.e., Furosemide Loop diuretics (furosemide) can be used in renal failure. Among thiazides, only metolazone is used in renal failure.